Key regulators of sleep are located in
1. Hypothalamus
2. Thalamus
3. Putamen
4. Limbic cortex

Correct answer: 1. Hypothalamus

Explanation: Sleep is regulated by two parallel mechanisms, homeostatic regulation, and circadian regulation, controlled by the hypothalamus and the suprachiasmatic nucleus (SCN), respectivelyr Ref:guyton hall textbook of medical physiology 12 edition page number:711,712,713